In an emphysematous patient with humus leison which is the best investigation to measure lung volumes ?
1. Body plethysmography
2. Helium dilution
3. Trans diaphragmatic pressure
4. DLCO

Correct answer: 1. Body plethysmography